Numbness of cheek following fracture of zygomatic complex is due to
1. Damage of long buccal nerve
2. Damage to infraorbital nerve
3. Damage to middle meningeal nerve
4. Damage to inferior alveolar nerve

Correct answer: 2. Damage to infraorbital nerve

Explanation: Tears of the antral mucosa may lead to epistaxis on the affected side, and damage to the infraorbital nerve may cause paraesthesia in its sensory distribution.